Which is the most common symptom of medullary sponge kidney disease?
1. Anuria
2. Anemia
3. Azotemia
4. UTI

Correct answer: 4. UTI

Explanation: Patients with this condition typically maintain normal renal function through adulthood Complications include nephrolithiasis, pyelonephritis, hyposthenuria (inability to concentrate urine), and distal A.